Disease associated with early-onset periodontitis, due to deficiency of catalase enzyme is known as:
1. Acatalasia.
2. Achondroplasia.
3. Catalonia.
4. Catalysis

Correct answer: 1. Acatalasia.